True about fibrous dysplasia (F.D) is
1. Monostotic FD more commonly seen in femur
2. Polyostotic FD manifests in 3rd decade
3. Biopsy shows chicken wire appearance
4. X-ray shows patchy calcification

Correct answer: 1. Monostotic FD more commonly seen in femur